Flea bitten appearance of the kidney is seen in-
1. Malignant hypertension
2. Benign hypertension
3. Chronic pyelonephritis
4. Diabetes mellitus In an adult

Correct answer: 1. Malignant hypertension

Explanation: Causes of the flea-bitten kidney: Malignant hypertension Subacute bacterial endocarditis Rapidly progressive GN Henoch-Schonlein purpura. Ref: RAM DAS NAYAK EXAM PREPARATORY MANUAL FOR UNDERGRADUATES 2nd ed. pg no: 621